Paramesonephric duct develop into:
1. Vas deferens
2. Seminal vesicle
3. Ureter
4. Uterus

Correct answer: 4. Uterus

Explanation: Mullerian(Paramesonephric duct) derivatives Uterus Cervix Fallopian tubes 4/5th of vagina Lower 1/5th derived from urogenital sinus Ovaries are derived from Genital Ridge Wolffian duct (Mesonephric duct) derivatives Epididymis Vas deferens Seminiferous tubules Prostatic urethra